A 45-year-old female has a solitary gall stone 1.5 cm in size which was incidentally diagnosed by ultrasound. She has no symptom. What should be the best line of management?
1. Cholecystectomy only, if she develops biliary colic
2. Lap cholecystectomy immediately
3. Lap cholecystectomy even if she is asymptomatic after 2 months
4. Open cholecystectomy even if she is asymptomatic after 2 months

Correct answer: 1. Cholecystectomy only, if she develops biliary colic

Explanation: Cholecystectomy only if she develops biliary colic * Symptomatic gallstones are the main indication for cholecystectomy. * Absolute contraindications for the procedure are uncontrolled coagulopathy and end-stage liver disease.